ANCA positive vasculitis -
1. Henoch schonlein purpura
2. Behcet's syndrome
3. Wegener's granulomatosis
4. None

Correct answer: 3. Wegener's granulomatosis

Explanation: Ans. (c) Wegener's granulomatosis(Ref: Robbins 9th/pg 507, Harrison 18thed p-2786-87)Option a and b are immune-mediated small-vessel systemic vasculitis. C-ANCA positive vasculitis